Bronze diabetes is seen in:
1. Wilson's disease
2. Sarcoidosis
3. Lead intoxication
4. Hemochromatosis

Correct answer: 4. Hemochromatosis

Explanation: Hemochromatosis Iron deposited in different tissues in the form of hemosiderin. This deposition along with increased epidermal melanin production-Slate-gray color to the skin. The development of diabetes in these patients is therefore termed as bronze diabetes. Some patients, the presenting complaint is Hypogonadotropic hypogonadism.